Spacing methods used by family welfare programmes are:a)  IUCDb)  OCPc)  Vasectomyd)  Condome)  Tubectomy
1. abd
2. bcd
3. abc
4. ab

Correct answer: 1. abd